Drug therapy used in treatment of Wernicke's encephalopathy :
1. Diazepam
2. Disulfiram
3. Thiamine
4. Cynocobalamine

Correct answer: 3. Thiamine